Following are the glycopeptide antibiotics except?
1. Teicoplanin
2. Daptomycin
3. Telavancin
4. Oritavancin

Correct answer: 2. Daptomycin

Explanation: Ans. is 'b' i.e., Daptomycin